Cellulitis is caused by all except
1. Streptococcus
2. Staphylococcus
3. Hemophillus influenza
4. Moraxella

Correct answer: 4. Moraxella

Explanation: Streptococcus causes a variety of suppurative infections of the wounds or burns, with a predilection to produce lymphangitis and cellulitis. staphylococcus less often causes cellulitis. Haemophilus influenza causes cellulitis particularly in the buccal and periorbital areas, which is seen in young children. Moraxella catarrhalis form part of the normal pharyngeal flora but can cause respiratory infections, including otitis media, sinusitis, tracheobronchitis and pneumonia. Reference: Textbook of Microbiology; Anathanarayan and paniker's; 10th edition; Page no: 410